Vitamin deficiency seen in alcoholic with dementia:
1. Thiamine
2. Vitamin B12
3. Riboflavin
4. Pyridoxine

Correct answer: 1. Thiamine

Explanation: Ans. Thiamine